Post anaesthetic myalgia is commonest with which of the following drugs?
1. Suxamethonium
2. Pancuronium
3. Vecuronium
4. Atracurium

Correct answer: 1. Suxamethonium

Explanation: Post anaesthetic myalgia is seen after administration of depolarising skeletal muscle relaxants. It is reduced by administration of non polarising skeletal muscle relaxants.